Abatacept is -
1. TNF alpha inhibitor
2. Inhibitor of co - stimulation of T cells
3. IL - I receptor antagonist
4. Monoclonal antibody against IL - 6 receptor

Correct answer: 2. Inhibitor of co - stimulation of T cells

Explanation: Ans. is 'b' i.e., Inhibitor of co-stimulation of T cells o Abatacept inhibits the co - stimulation of T cells by blocking CD28 - CD80/86 interactions and also inhibits the function of antigen presenting cells by reverse signalling through CD80 and CD 86.